An old man enters the hospital with myocardial infarction and a severe ventricular arrhythmia. The antiarrhythmic drug chosen has a narrow therapeutic window. The minimum toxic plasma concentration is 1.5 times the minimum therapeutic plasma concentration. The half life is 6 hrs. It is essential to maintain the plasma concentration above the minimum therapeutic level to prevent a possible lethal arrhythmia. Of the following, the most appropriate dosing regimen would be
1. Once a day
2. Twice a day
3. Four times a day
4. Constant intravenous infusion

Correct answer: 4. Constant intravenous infusion